Which among the following is the commonest malignancy of childhood?
1. ALL
2. Brain tumor
3. Lymphoma
4. Neuroblastoma

Correct answer: 1. ALL

Explanation: The most common childhood malignancies are acute lymphoblastic leukemia, central nervous system (CNS) tumors and lymphomas. Together, these cancers account for 63 percent of cases. The frequency is ALL > Brain tumor > Lynphoma > Neuroblastoma. Neuroblastoma, retinoblastoma and Wilms' tumor most commonly occur in children between birth and four years of age, whereas osteosarcoma, Ewing's sarcoma and Hodgkin's disease tend to occur in children more than 10 years of age. Acute lymphoblastic leukemia is the most common type of leukemia in children. Acute lymphoblastic leukemia typically develops in children between one and 10 years of age. This leukemia is more common in males and in whites.